Rosettes are characteristic in:
1. Retinoblastoma
2. Lymphoma
3. Melanoma
4. Dysgerminoma

Correct answer: 1. Retinoblastoma

Explanation: Rosettes are characteristic in retinoblastomas. Ref: Robbin's Illustrated Pathology, 7th Edition, Pages 1442, 43; Textbook of Medical Physiology By Khurana, 4th Edition, Page 281